Battey bacillus or mycobacterium intracellulare is -
1. Photochromogen
2. Scotochromogen
3. Non-photochromogen
4. Rapid grower

Correct answer: 3. Non-photochromogen